All are intracranial complications of otitis media except?
1. Lateral sinus thrombophlebitis
2. Facial nerve palsy
3. Brain abscess
4. Hydrocephalus

Correct answer: 2. Facial nerve palsy

Explanation: Ans. is 'b' i.e., Facial nerve palsy Intracranial Complications from Otitis Media Intracranial complications occur after the infectious (or inflammatory) process proceeds beyond the temporal bone "requiring immediate and precise therapeutic intervention." Most common intracranial complications include meningitis, followed by brain abscess and lateral sinus thrombosis, subdural empyema, epidural abscess, and otic hydrocephalus.